% of thiopentone–used in induction –
1. 0.50%
2. 1.50%
3. 2.50%
4. 4.50%

Correct answer: 3. 2.50%

Explanation: Thiopentone is used in 2.5% concentration with a dose of 3-6 mg/kg.